A 32-year-old man is admitted to the emergency department after a severe car crash. Radiographic examination reveals multiple fractures of his right upper limb. A surgical procedure is performed and metallic plates are attached to various bony fragments to restore the anatomy. Five months postoperatively the patient visits the outpatient clinic. Upon physical examination the patient can abduct his arm and extend the forearm, but the sensation of the forearm and hand is intact; however, the hand grasp is very weak, and he cannot extend his wrist against gravity. Which of the following nerves was most likely injured during the surgical procedure?
1. Posterior cord of the brachial plexus
2. Radial nerve at the distal third of the humerus
3. Radial and ulnar
4. Radial, ulnar, and median

Correct answer: 2. Radial nerve at the distal third of the humerus

Explanation: Radial nerve at the distal third of the humerus. The patient can extend his forearm, which suggests that the triceps muscle is not weakened. Supination appears to be weak along with hand grasp and wrist drop. This would indicate that part of the radial nerve has been lost below the innervation of the triceps and above the branches to the supinator and extensors in the forearm. However, sensation on the forearm and hand is intact, indicating that the superficial branch of the radial nerve is intact. The superficial branch of the radial nerve divides from the deep radial nerve at the distal third of the humerus. The posterior cord of the brachial plexus is responsible for providing innervation of the axially and radial nerves. This patient does have some radial nerve innervation and no loss of axillary nerve function. The patient does not have weakened adduction of the wrist, indicating that the ulnar nerve is not injured. If both the radial and musculocutaneous nerves are injured, supination would not be possible as the supinator muscle and biceps provide supination of the forearm.